Porphyrins are synthesized mainly in -
1. Spleen
2. Liver and spleen
3. Bone marrow and spleen
4. Liver and bone marrow

Correct answer: 4. Liver and bone marrow

Explanation: Porphyrins are synthesized in - Liver, Bone marrow.